Recurrent plaques on glans which heal with residual hyperpigmentation is seen with:
1. Aphthous ulcer
2. Fixed Drug Eruption
3. Herpes simplex
4. Chlamydial infection

Correct answer: 2. Fixed Drug Eruption

Explanation: The two common conditions which heal with pigmentation are Lichen planus and FDE. FDE Glans penis is a site of predilection for fixed drug eruption. Recurrence is seen: Recur in the same sites With each exposure --> No. of involved sites may increase. Fresh lesions are well defined, round or oval patches of redness and swelling of the skin followed by a blister. This then fades to a purplish or brown colour. The lesions usually develop within 30 minutes to 8 hours of taking the drug. Lesions are more common on hands and feet, genitalia (glans penis) and perianal areas. Lesions may occur around the mouth or the eyes. As healing occurs, crusting and scaling are followed by a persistent dusky brown colour at the site. Drugs causing FDE: Salicylate NSAIDs Phyenylbutazone Fluoroquinolones Tetracycline